All of the following drugs are non-depolarizing neuromuscular blocking agents except
1. D-tubocurarine
2. Gallamine triethiodide
3. Pancuronium bromide
4. Succinylcholine

Correct answer: 4. Succinylcholine